Which of the following is the most significant risk factor for development of gastric carcinoma
1. Paneth cell metaplasia
2. Pyloric metaplasia
3. Intestinal metaplasia
4. Ciliated metaplasia

Correct answer: 3. Intestinal metaplasia